All develop from endodermal cloaca except -
1. Rectum
2. Anal canal
3. Sigmoid
4. Primitive urogenital sinus

Correct answer: 3. Sigmoid

Explanation: Ans. is 'c' i.e., Sigmoid [Ref: Garg 2nd/e p. 169)o Postallantoic part of hind gut is the dilated endodermal cloaca, which is separated from the surface by cloacal mambrane.o Urorectal septum devides endodermal cloacae into :-i) Anterior part, known as primitive urogenital sinus, which develops into urinary bladder and urethra.ii) Posterior part, known as primitive rectum, which gives rise to lower part of rectum and upper part of anal canal.Derivatives of Hind gutPreallantoic partPostallantoic part(endodermal cloaca)o Left one-third of transverse colonPrimitive urogenital sinusPrimitive rectumo Descending colono Pelvic colon (sigmoid colon)o Upper part of rectumo Urinary bladdero Urethrao Lower part of rectumo Upper part of anal canal